Most common LMN cause of Facial nerve palsy is?
1. Trauma
2. Bell's palsy
3. Infections
4. Vascular causes

Correct answer: 2. Bell's palsy

Explanation: *one of the most common cause of facial weakness is bell's palsy ,a lower motor neuron lesion of the 7th (facial)nerve ,effecting all ages and both sexes *here the lesion is within the facial canal . Ref Harrison20th editionpg 1082-1083